Haemophilia A is characterised by the presence of following features, except -
1. Bleeding into soft tissues, muscles & joints
2. Loss of VIII levels
3. Prolonged partial thromboplastin time
4. Prolonged prothrombin time

Correct answer: 4. Prolonged prothrombin time